Fecundability is
1. Probability to achieve a live birth within one menstrual cycle
2. Probability to achive pregnancy within one menstrual cycle
3. Probability to achive a twin pregnancy within one menstrual cycle
4. Probability to achive a live birth within one year of treatment for infertility

Correct answer: 2. Probability to achive pregnancy within one menstrual cycle

Explanation: Fecundability is probability to achive pregnancy within one menstrual cycle.